MC type of carcinoma anal canal
1. Adenocarcinoma
2. SCC
3. Basal cell carcinoma
4. Hamartoma

Correct answer: 2. SCC

Explanation: MC type anal carcinoma is SCC > BCC.